Which instructions do you include in the teaching care plan for a patient with cystitis receiving phenazopyridine (Pyridium).
1. If the urine turns orange-red, call the doctor.
2. Take phenazopyridine just before urination to relieve pain.
3. Once painful urination is relieved, discontinue prescribed antibiotics.
4. After painful urination is relieved, stop taking phenazopyridine.

Correct answer: 4. After painful urination is relieved, stop taking phenazopyridine.

Explanation: Pyridium is taken to relieve dysuria because is provides an analgesic and anesthetic effect on the urinary tract mucosa. The patient can stop taking it after the dysuria is relieved.

Option A: The urine may temporarily turn red or orange due to the dye in the drug.
Option B: The drug isn’t taken before voiding, and is usually taken 3 times a day for 2 days.